All the following openings in the right atrium are guarded by valve except -
1. Superior vena cava
2. Inferior vena cava
3. Coronary sinus
4. Atrioventricular opening

Correct answer: 1. Superior vena cava

Explanation: Valves on different openings to Right atrium
-        Inferior vena cava- Rudimentary semilunar valve- Eustachian valve
-        Coronary sinus- Incomplete semicircular valve- Thebesian valve
-        AV opening- Tricuspid valve